Bohler's angle is measured in the fractures involving which of the tarsel bones?
1. Calcaneum
2. Talus
3. Navicular
4. Cuboid

Correct answer: 1. Calcaneum

Explanation: Bohler's tuber joint angle and Crucial angle of Gissane are measured for intra articular fractures of calcaneum. Ref: Apley's 8th Edition, Page 750, 751; Rockwood and Green 5th Edition, Page 2135; John Ebnezer 2nd Edition, Page 146.